Levator Palpebrae Superioris is supplied by which nerve?
1. Ophthalmic nerve
2. Oculomotor nerve
3. Abducens
4. Trochlear nerve

Correct answer: 2. Oculomotor nerve

Explanation: Ans. is 'b' i.e., Oculomotor nerve * All the extraocular muscles are supplied by 3rd cranial (occulomotor) nerve except for superior oblique and lateral rectus. Superior oblique muscle is supplied by 4th cranial (trochlear) nerve, and lateral rectus muscle is supplied by 6th cranial (abducent) nerve. Beside these extraocular muscles, occulomotor (3rd) nerve also supplies levator palpebrae superioris, sphinctor pupillae (causes pupillary constriction), and ciliary muscle (causes accommodation).